Radiological examination shows evidence of bone infarct in a child. She may have the following condition:
1. Iron deficiency anaemia
2. Thalassemia
3. Sickle cell disease
4. Hereditary spherocytosis

Correct answer: 3. Sickle cell disease

Explanation: Sickle cell disease is frequently associated with bone infarction resulting from vasoocclusion secondary to the sickling of red cells. Bone infarction also occurs in hemoglobin sickle cell disease and sickle cell thalassemia. The bone pain in sickle cell crisis is due to bone and bone marrow infarction. In children, infarction of the epiphyseal growth plate interferes with normal growth of the affected extremity. Radiographically, infarction of the bone cortex results in periosteal elevation and irregular thickening of the bone cortex. Infarction in the bone marrow leads to lysis, fibrosis, and new bone formation. Ref: Langford C.A. (2012). Chapter 336. Arthritis Associated with Systemic Disease, and Other Arthritides. In D.L. Longo, A.S. Fauci, D.L. Kasper, S.L. Hauser, J.L. Jameson, J. Loscalzo (Eds), Harrison's Principles of Internal Medicine, 18e.